Compared with spectacles, the contact lenses
1. Increase the field of vision
2. Magnify images in hypermetropia
3. Minify images in myopia
4. Do not reduce aniseikonia and optical aberra on

Correct answer: 1. Increase the field of vision

Explanation: As contact lenses tend to return the images to near normal size, the images are minifid in hypermetropia and magnified in myopia.